All of the following drugs can cause gynaecomastia except:-
1. Digoxin
2. Amiloride
3. Cimetidine
4. Ketoconazole

Correct answer: 2. Amiloride

Explanation: IMPORTANT DRUGS CAUSING GYNAECOMASTIA: DI: DIgoxin S: Spironolactone C: Cimetidine O: Ketoconazole